Functional Cusp Bevel is given for:
1. Marginal integrity
2. Structural durability
3. Retention and resistance form
4. To improve the geometry of tooth surface

Correct answer: 2. Structural durability